Drugs used in endometriosis are:a) Testosteroneb) Danazolc) GnRHd) Progesteronee) Estrogen
1. abc
2. acd
3. bcd
4. bd

Correct answer: 3. bcd